Which one of the following is a tyrosine tRNA analogue that causes premature chain termination?
1. Cycloheximide
2. Puromycin
3. Paromomycin
4. Erythromycin

Correct answer: 2. Puromycin

Explanation: Puromycin Structural analogue of tyrosinyl tRNA. Incorporated into nascent protein chains by a nonhydrolyzable peptide bond. Growing of the peptide bond is inhibited. Inhibits protein synthesis in both prokaryotes and eukaryotes Causes premature chain termination